All are contents of cubital fossa except -
1. Median nerve
2. Biceps tendon
3. Brachial artery
4. Ulnar nerve

Correct answer: 4. Ulnar nerve